Drug causing agranulocytosis -
1. Pimozide
2. Clozapine
3. Risperidone
4. Olanzapine

Correct answer: 2. Clozapine

Explanation: Ans. is 'b' i.e., Clozapine o Agranulocytosis is a known side effect of clozapine"Because of the risk of agranulocytosis, patients, recieving clozapine must have weekly blood counts for the first 6 months and every 3 weeks thereafter "Side effects of clozapineo Agranulocytosiso Unstable BP & tachycardiao worsening of diabeteso Setsureso Urinary incontinenceo Hypersalivation (sialorrhoea)o Weight gaino Sedation